Hemianesthesia is seen in which syndrome
1. Weber's syndrome
2. Bendict's syndrome
3. Millard gubler syndrome
4. Downs syndrome

Correct answer: 2. Bendict's syndrome